Which is the following treatments is most most effective phobic disorders?
1. Fluoxetine
2. Systematic Desensitisation
3. Imipramine
4. Motivational Therapy

Correct answer: 2. Systematic Desensitisation

Explanation: Systematic desensitisation is a form of psychological therapy. In this therapy where the patient is slowly and gradually exposed to the fearful stimuli and reducing the avoidance response. It is the most effective therapy approach in phobias. SSRIs can be used to help the therapy process if the anxiety is too high. Motivational Therapy is used in Substance Abuse and Eating Disorders.